Cells of stellate reticulum is:
1. Polyhedral.
2. Cuboidal.
3. Columnar
4. Star-shaped.

Correct answer: 4. Star-shaped.